Merciful anosmia is seen in -
1. Nasal polyp
2. Atrophic rhinitis
3. Rhinosporidiosis
4. Rhinoscleroma

Correct answer: 2. Atrophic rhinitis

Explanation: Ans. is 'b' i.e., Atrophic rhinitis Clinical features of atrophic rhinitis o The disease is mostly seen in females and tends to appear during puberty. o The disease is always bilateral except in case of DNS where it is seen on the wider side. o There is foul smell from the nose making the patient a social outcast though patient himself is unaware of the smell due to marked anosmia (merciful anosmia). o The patient complains of nasal obstruction in spite of unduly wide nasal chambers. This is due to large crusts filling the nose. o Epistaxis may occur when the crusts are removed. o Crusting may occur in the larynx and cause hoarseness. o Apart from the nose, other sites may also be involved. Pharynx - Atrophic pharyngitis may be seen Larynx - Atrophic laryngitis may be seen which can lead to a cough and hoarseness of voice. Ear - Obstruction of eustachian tube can cause serous otitis media PNS - Small/under developed and have thick walls. They appear opaque on X-ray.